A bullet fired form a gun is not released. It is ejected out with the subsequent shot. It is known as -
1. Dum dum bullet
2. Rocketing bullet
3. Ricochet bullet
4. Tandem bullet

Correct answer: 4. Tandem bullet

Explanation: If during firing, the bullet remains in the barrel; during subsequent firing two bullets, one behind the other are projected out → called as Tandem bullet.